C/F of complicated cataract A/E
1. Polychromic lusture
2. Opacity along sutures
3. Axial spread of opacity
4. Post. Subcapsular opacity

Correct answer: 2. Opacity along sutures

Explanation: Ans: (B) Opacity along sutures Ref.: A.K. Khurana 6th ed. /194-95 * Complicated cataract : Cataract secondary to some intraocular disease which may be: # Anterior cortical in anterior segmental lesion as glaucoma, acute iritis, or, # Posterior cortical in posterior segmental lesion as uveitis, RD, pigmentary retinal dystrophy. * The second type of complicated cataract presents with posterior cortical bread crumb appearance/ polychromatic lusture or rainbow cataract. * Bread crumbs appearance is Pathognomonic of posterior cataract. * Opacity usually commence in posterior cortex and spread axially and NOT along sutures. * Vision is much impaired even in early stage, owing to the position of the opacity near the nodal point of the eye.